Children born to mothers with SLE are likely to have one of the following anomalies
1. ASD
2. TOF
3. TGA
4. Complete heart block

Correct answer: 4. Complete heart block

Explanation: Systemic lupus erythematosus (SLE) is one of the most common autoimmune disorders that affect women during their childbearing years. SLE increases the risk of spontaneous abortion, intrauterine fetal death, preeclampsia, intrauterine growth retardation, and preterm birth. HEART INVOLVEMENT IN NEONATAL LUPUS Complete heart block (CHB) is the most serious manifestation of the neonatal lupus syndrome (NLS), a congenital syndrome in which maternal IgG anti-Ro/SS-A autoantibodies cross the placenta and injure an otherwise normally developing heart. CHB is often regarded as a model of passively acquired autoimmunity in which antibodies are necessary but insufficient to cause CHB, and fetal factors are likely contributory . Reference: GHAI Essential pediatrics, 8th edition